Cranial Nerve which emerges from dorsal surface of brain
1. II
2. IV
3. VI
4. VII

Correct answer: 2. IV

Explanation: B i.e. Trochlear Nerve i.e. IVth C.NNerveFeatureTrochlear (4th)Emerge dorsally from the brain stem (2Longest Intracranial course Trigeminal (5th)Largest cranial nerve Vagus (10th)Most extensive distribution Facial (7th)Most commonly paralyzed Facial (715)Longest intraosseous course Abducent (6'h)Most commonly involved in raised ICTOcculomotor (3,d) & Abducent (6th)Commonly involved in inracranial aneurysm.